Ujjawala is for-
1. Child abuse
2. Child trafficking
3. Child labour
4. None

Correct answer: 2. Child trafficking

Explanation: Ans. is 'b' i.e., Child trafficking Ref- Ujjawala o The 'Ministry of women & child Development' has formulated a new comprehensive scheme for prevention of trafficking and rescue, rehabilitation and reintegration of victims of trafficking and commercial sexual exploitation. o The new scheme has been conceived primarily for the purpose preventing trafficking on the one hand and rescue and rehabilitation of victims on the other. o Target group includes - i) Women & children who are vulnerable to trafficking for commercial sexual exploitation, ii) Women & children who are victims of trafficking for commercial sexual exploitation.